A Patient infected with MRSA needs Dialysis. The physician had already been started the patient on linezolid. On the day of undergoing dialysis, when to administer linezolid in this patient :
1. After dialysis
2. Before dialysis
3. Can be administered irrespective of dialysis
4. During dialysis

Correct answer: 1. After dialysis

Explanation: Linezolid: -Linezolid and its breakdown products are eliminated by dialysis -Therefore the drug should be administered after hemodialysis.